Mucosal invasion of intestine causes which type of diarrhea -
1. Watery diarrhea
2. Rice stool
3. Dysentery
4. None

Correct answer: 3. Dysentery

Explanation: Ans. is 'c' i.e., Dysentery o Mucosal epithelial cell invasion causes dysentery.o Based on the depth of intestinal invasion, there are different clinical manifestations of infection with organisms causing diarrhea;1. No cell invesion (noninflammatory!o The bacteria bind to intestinal epithelial cells but do not enter the cell,o Diarrhea is caused by the release of enterotoxins.o Watery diarrhea with no fecal leukocytes and no systemic symptoms (e.g. fever) occurs,o Organisms are:1. V. cholerae4. Clostridium perfringens7. Cryptosporidia10. Adenovirus2. ETEC5. B. cereus8. Microsporidia 3. Staph, aureus6.Giardia9. Rotavirus 2. Invasion of the intestinal epithelial cells (Inflammatory)o The organisms have virulence factors that allow binding and invasion into cells,o Toxins may be then released that destroy the cell.o The cell penetration results in a systemic immune response with fecal leukocytes as well as fever.o The cell death results in RBC leakage into the stool (dysentery).o Organisms are:1. Shigella3. Campylobactor jejuni5. Vibrio parahemolyticus7. C. difficale2. Salmonella Sp.4. EHEC & EIEC6. Yersinia enterocolitica8. E. histolytica3. Invasion of lymph nodes and blood stream (Penetrating)o Along with abdominal pain and diarrhea containing WBCs and RBCs, this deeper invasion results in systemic symptoms of fever, headache and leukocytosis.o Examples are - 1. Salmonella typhi, 2. Yersinia enterocolitica, and 3. Campylobacter jejuni.